Most common type of rhabdomyosarcoma is?
1. Pleomorphic
2. Embryonal
3. Alveolar
4. Botryoid

Correct answer: 2. Embryonal

Explanation: MC sarcoma in infancy or childhood is embryonal rhabdomyosarcoma. In some cases, it manifests as a polypoid grapelike mass (sarcoma botryoides). MC sarcoma in the bladder in adults is leiomyosarcoma